Which of the following doesn't produce radiation hazard:
1. MRI
2. Doppler USG
3. Both of the above
4. None of the above

Correct answer: 3. Both of the above

Explanation: Ans. C: Both of the above MRI is a noninvasive imaging technique that does not involve exposure to ionizing radiation. USG is based on piezoelectric effect and free from radiation.